Most common site of Basal cell carcinoma on face is
1. Forehead
2. Ears
3. Nose
4. Cheeks

Correct answer: 3. Nose

Explanation: Face is the most common site for BCC
And nose is the most common site on face.